Most common valvular lesion in Carcinoid Syndrome of the Heart is:
1. Aortic Stenosis
2. Mitral Stenosis
3. Tricuspid regurgitation
4. Aortic regurgitation

Correct answer: 3. Tricuspid regurgitation

Explanation: Answer is C (Tricuspid Regurgitation) Carcinoid syndrome most frequently involves the ventricular aspect of the tricuspid valve. The predominant lesion due to involvement of the tricuspid valve is Tricuspid regurgitation.